A person of 35 years is having firm belief about infidelity involving the spouse. And he never allow her to go out of home alone. He often locks his house, while going office. Inspite of all this he is persistantly suspicious about her character. The probable diagnosis is -
1. Schizophrenia
2. Delusional parasitosis
3. Clerambault's syndrome
4. Othello syndrome

Correct answer: 4. Othello syndrome

Explanation: When the content of delusions is predominantly jealousy (infidelity) involving the spouse, it is called as othello syndrome or conjugal paranoia.